Graze is a type of ?
1. Bruise
2. Contusion
3. Laceration
4. Abrasion

Correct answer: 4. Abrasion

Explanation: Ans. is 'd' i.e., Abrasion Abrasion It is a destruction of the skin, which involves the superficial layers of the epidermis only. They are of 4 types: Scratches- its a abrasion with length but no significant width or a a very superficial incision. Grazes-most common. They occur when there is movement between the skin and some rough surface in contact with it. Pressure or friction abrasion- they are caused by crushing of the superficial layers of the epidermis and are associated with a bruise of the surrounding area. Impact or contact abrasion- they are caused by impact with a rough object, when the force is applied at or near a right angle to the skin surface. Patterned abrasion- impact abrasion and pressure abrasion reproduce the pattern of the object causing it and are called Patterned abrasion.